MC blood transfusion reaction is-
1. Febrile nonhemolytic transfusion reaction
2. Hemolysis
3. Transmission of infections
4. Electrolyte imabalnce

Correct answer: 1. Febrile nonhemolytic transfusion reaction

Explanation: Answer is A (Febrile Non Hemolytic Reaction) The most frequent reactions associated with the transfusion of cellular blood components is a Febrile Non Hemolytic Transfusion Reaction (F N H T R). Febrile Non Hemolytic Transfusion Reactions (F N H T R) Clinical presentation These reaction are characterized by chills and rigors and 1degC rise in temperature Diagnosis is usually made by excluding other causes of fever in a transfused patient Prevention and Treatment Most reactions are mild and do not require any further investigations or treatment Their incidence and severity may be reduced by: - Use of leucocyte reduced blood products - Premedication with acetaminophen or other antipyretic agents